Which of the following tend to show marked and homogeneous enhancement on Gd-DTPA enhanced MRI?
1. Meningiomas and acoustic neuromas
2. Oligodendrogliomas and Metastases
3. Meningiomas and low grade gliomas
4. Glioblastoma multiformies and acoustic neuromas

Correct answer: 1. Meningiomas and acoustic neuromas

Explanation: Meningiomas and acoustic neuromas tend to show marked and homogeneous enhancement 0." Gd-DTPA-enhanced MRI Ring-shaped contrast enhancement occurs in most glioblastoma8, whereas low-grade gliomas may show lack of changes on postcontrast images or only patchy enhancement.
Depending on tumor size, metastases present as small homogeneously enhancing lesions or as ring-shaped structures secondary to central necrosis, which adds to the hallmark of metastatic tumors (i.e., multiplicity of lesions).